In pregnancy, maximum risk of hepatic encephalopathy is with which hepatitis?
1. A
2. B
3. C
4. E

Correct answer: 4. E

Explanation: Maximum risk of maternal mortality is with hepatitis E. Maximum risk of hepatic encephalopathy is with hepatitis E. Maximum risk of perinatal transmission is with hepatitis B.